All of the following are direct causes of maternal mortality except:
1. APH
2. PPH
3. Heart disease
4. Eclampsia

Correct answer: 3. Heart disease

Explanation: Ans. is c i.e. Heart disease